Frame shift mutation is caused by
1. Deletion
2. Substitution
3. Inversion
4. Transition

Correct answer: 1. Deletion

Explanation: Insertion and deletion causes Frame shift mutation.